A patient involved in a road traffic accident presents with quadriparesis, sphincter disturbance, sensory level up to the upper border of sternum and respiratory rate of 35/minute. The likely level of lesion is
1. C1 - C2
2. C4 - C5
3. T1 - T2
4. T3 - T4

Correct answer: 2. C4 - C5

Explanation: C2 dermatome: Occiput and upper part of neck. C3 dermatome: Lower part of neck up to the clavicle. C4 dermatone: Area just below the clavicle (Area which coincide with upper border of sternum). Motor supply of upper-limb is C5 to T1 Motor supply of diaphragm (Phrenic nerve) is C3 to C5 Thus C4 to C5 involvement will cause increased respiratory rate with all the above mentioned features.